What is responsible for clearing & flushing food from the intestinal lumen in the interdigestive Period-
1. Gastrin
2. Migrating motor complexes
3. Secretin
4. CCK.

Correct answer: 2. Migrating motor complexes

Explanation: Ans. (b) Migrating motor complexes (MMC)(Ref: Ganong, 25th ed/p.497)MMC aids in clearing the stomach and small intestine of luminal contents in preparation for the next meal